An 80-year-old woman with a known history of femoral hernia is admitted to the hospital because of strangulation of the hernia. There is a tender swelling in the right femoral region immediately below and lateral to the pubic tubercle. She has had multiple bowel movements without relief of symptoms. What is the most likely diagnosis?
1. Lymphadenitis
2. Diverticulitis
3. Volvulus
4. Richter's hernia

Correct answer: 4. Richter's hernia

Explanation: In a Richter hernia, only part of the circumference of the bowel wall has become trapped in the hernia sac, and normal bowel movements may still occur. In the presence of a reducible groin hernia, it is important on clinic examination to be certain that other pathologic conditions are not overlooked.